Microangiopathic Hemolytic anemia seen in:
1. HUS
2. HTN
3. SLE
4. All

Correct answer: 4. All

Explanation: Micro-angiopathic Hemolytic anemia occurs when red blood cells are forccd to squeeze through abnormally narrowed small vessels. Narrowing is most often caused by fibrin deposition in association with DIC. Other causes of micro-angiopathic hemolytic anemia are:
Malignant hypertension
SLE
Thrombotic Thrombocytopenic purpura.
HUS
Disseminated cancer.
 
The common feature among all these disorders is a Micro vascular Lesion that cause mechanical injury to circulating Red blood cells. In blood smear in the form of red cell fragments (schisocytes) burr cells, helmet cells and triangle cells are seen. Some important Point:
 
Most common cause of Anemia in world is Iron deficient Anemia.
 
Most sensitive and specific test for diagnosis of from deficiency is serum ferritin levels.
 
Hyper segmented neutrophilis are a feature of megaloblastic anemia and not iron deficient anemia.
 
Cause of microcytic hypochromic anemia Mnemonics: Tiny CLIPS ' Iron deficient Anemia
 
Thaiassaemia
Sideroblastic anemia,
Lead poisoning
Anemia of chronic disease.
Pyridoxin deficit anemia.